Constant PR inverval is seen in -a) First degree blockb) Second degree - Mobiz type I block.c) Second degree - Mobiz type II blockd) Third degree block
1. a
2. bc
3. ac
4. b

Correct answer: 3. ac